All statements are true regarding skin except
1. Skin is stratified squamous epithelium
2. Melanocyte & merkel cells are immigrant cells
3. Keratin filaments are a hall mark of epidermal cells
4. Keratinization process cause hydration of cells

Correct answer: 4. Keratinization process cause hydration of cells

Explanation: D i.e. Keratinization process cause hydration of cells